Bullae formation after striking an intact skin/mucosal surface is known as:
1. Tine's sign
2. Bablnski's sign
3. Nikolsky's sign
4. Chovstek's sign

Correct answer: 3. Nikolsky's sign